Which is not an insulin analogue?
1. Insulin glargine
2. Insulin lispro
3. Actrapid
4. Insulin aspart

Correct answer: 3. Actrapid

Explanation: ANSWER: (C) ActrapidREF: Pharmacology ReCap 2.0 for Bachelor of Dentistry Students by Dr J. G. Buch page 304Insulins:Highly purified mono- component insulinPorcine Actrapid- RegularShort actingPorcine Monotard- LenteIntermediate actingPorcine Insulatard- NPH Porcine Mixtard30% regular, 70% IsophaneHuman insulinHuman Actrapid- RegularShort actingHuman Monotard- LenteIntermediate actingHuman Insulatard- NPH Human Mixtard30% regular, 70% IsophaneInsulin analoguesInsulin Lispro Insulin aspart Insulin glulisineUltra short actingInsulin glargineLong acting